A child from Bihar comes with fever. Blood examination shows sheathed microfilaria with 2 nuclei in tail tip. The diagnosis is
1. B. malayi
2. W. bancrofti
3. Loa loa
4. Oncocerca volvulous

Correct answer: 1. B. malayi

Explanation: 2 distinct nuclei in tail tip is seen in case of B. malayi B. malayi Tail often constricted 2 rounded Subterminal and terminal tail nuclei W. bancrofti Tail tapers to delicatepoint Tail Neuclei Do not extend to tip oftail terminal nucleuselongate Loa loa Neuclei Continuous to tip of tail Pointed tail Terminalnucleus elongate Oncocerca volvulous Terminal Neucleus Do not extend to tip oftail; Finely pointed tail